Which of the following is done for a patient on coumarin (warfarin) therapy:
1. Partial thromboplastin time (PTT)
2. Prothrombin time (PT)
3. Bleeding time (BT)
4. Capillary fragility test (CFT)

Correct answer: 2. Prothrombin time (PT)

Explanation: When a coumarin, such as warfarin, is given to a patient, the amounts of active prothrombin and Factors VII, IX, and X, all  formed by the liver, begin to fall. 
Prothrombin time gives an indication of the concentration of prothrombin in the blood.
The normal prothrombin time is about 12 seconds.
Reference:  Ganong Physiology 25th ed page no 492,493